A 45 year old lady presented with features suggestive of mononeuritis multiplex. She gives a h/o regular attacks of bronchial asthma preceded by allergic rhinitis. She also has cutaneous purpura. Blood routine examination revealed eosinophilia. The diagnosis to be considered in this clinical scenario is?
1. Microscopic polyangiitis
2. Endogenous bronchial asthma
3. Churg strauss syndrome
4. Wegeners vasculitis

Correct answer: 3. Churg strauss syndrome

Explanation: When small-vessel vasculitis is associated with peripheral eosinophilia, cutaneous purpura, mononeuritis, asthma, and allergic rhinitis, a diagnosis of Churg-Strauss syndrome is considered. Ref: Harrisons Principles of Internal Medicine, 18th Edition, Page 2344